Amount of air that can be inhaled above tidal volume by maximum inspiratory effort
1. Vital capacity
2. Inspiratory capacity
3. Inspiratory reserve volume
4. FRC

Correct answer: 3. Inspiratory reserve volume

Explanation: Amount of air that can be inhaled above tidal volume by maximum inspiratory effort is Inspiratory reserve volume.Ref: Ganong review of medical physiology 24th edition Page no: 629